For all of the following Weil Felix reaction is diagnostic except -
1. Endemic typhus
2. Scrub typhus
3. Epidemic typhus
4. Q fever

Correct answer: 4. Q fever

Explanation: Ans. is d i.e., Q fever